The number of cafe au lait macules as one of the diagnostic criteria for adult a neurofibromatosis is -
1. >1
2. > 2
3. >4
4. >6

Correct answer: 4. >6

Explanation: Ans. is 'd' i.e., > 6 o Presence of six or more cafe-au-lait macules constitutes one of the diagnostic criterias for diagnosis of neurofibromatosis (Type-1).Diagnostic criteria for Neurofibromatosis 1 (NF1)o The patient should have two or more of the following :Six or more cefe-au-lait spots :# 1[?]5 cm or larger in individuals past puberty.# 0[?]5 cm or larger in individuals before puberty.o Two or more neurofibromas of any type, or one or more plexiform neurofibromas, o Two or more Lisch nodules (benign iris hamartomas),o Freckling in the axilla or groin.o Optic glioma (tumor of the optic pathway).o A distincive bone lesions :# Dysplasia (abnormal development) of the sphenoid bone.# Dysplasia or thinning of long bone cortex.o A first degree relative with NFL